The following may be used for post - coital contraception :
1. Cu-T
2. RU 486
3. Estrogen in high doses
4. All of the above

Correct answer: 4. All of the above

Explanation: All of the above